Sulfonamide is conjugated with
1. Acetylation
2. Methylation
3. Hydroxylation
4. None

Correct answer: 1. Acetylation

Explanation: Ref-KDT 6/e p683 Acetylation describes a reaction that introduces an acetyl functional group into a chemical compound .